All of the following are seen in pityriasis rosea except
1. Herald patch
2. Christmas tree appearance
3. Collarette scales
4. Cradle cap

Correct answer: 4. Cradle cap

Explanation: " Cradle cap " is a feature of seborrheic dermatitis.
Pityriasis rosea is caused by HHV 7 > HHV 6 .It presents with single plaque on trunk - "Mother's or Herald patch" followed by numerous similar lesions along the line of cleavage giving " Christmas tree or fir tree " appearance.
Lesions have peripheral scale termed as "Collarette scale" which on strecthing gives " Hanging curtain " appearance.